Activation of fibroblasts and deposition of connective tissue are orchestrated by all of the following except:
1. PDGF
2. FGF-2
3. TGF-β
4. HGF

Correct answer: 4. HGF

Explanation: The laying down of connective tissue occurs in two steps:

Migration and proliferation of fibroblasts into the site of injury.
Deposition of ECM proteins produced by these cells.

These processes are orchestrated by locally produced cytokines and growth factors, including PDGF, FGF-2, and TGF-β.
Robin’s Textbook of pathology 10th ed  Page 91